Which action by a nursing assistant (NA) when caring for a patient who is pancytopenic indicates a need for the nurse to intervene?
1. The NA assists the patient to use dental floss after eating.
2. The NA makes an oral rinse using 1 teaspoon of salt in a liter of water.
3. The NA adds baking soda to the patient’s saline oral rinses.
4. The NA puts fluoride toothpaste on the patient’s toothbrush.

Correct answer: 1. The NA assists the patient to use dental floss after eating.

Explanation: Use of dental floss is avoided in patients with pancytopenia because of the risk of infection and bleeding. The other actions are appropriate for oral care of a pancytopenic patient.